All of the following decreases in nephrotic syndrome except
1. Albumin
2. Transferrin
3. Ceruloplasmin
4. Fibrinogen

Correct answer: 4. Fibrinogen

Explanation: Fibrinogen is increased in nephrotic syndrome.